Dermatophytes can affect:
1. Hair
2. Nail
3. Scalp
4. All of the above

Correct answer: 4. All of the above

Explanation: Ans: D i.e. All of the above Three genera of dermatophytes infect skin and appendages: Trichophyton (skin, hairs and nails), Microsporum (skin and hairs) and Epidermophyton (skin and nails)